Mature bone is otherwise called as :
1. Woven bone
2. Irregular bone
3. Lamellar bone
4. Resorbing bone

Correct answer: 3. Lamellar bone